Which of the following is seen in intrauterine death?
1. Hypertension
2. DIC
3. Increase in fundal height of uterus
4. Increased uterine tone

Correct answer: 2. DIC

Explanation: Ans: b (DIC) Ref: Dutta, 6th ed, p. 325If the fetus is retained for more than 4 weeks there is possibility of silent DIC. It is due to gradual absorption of thromboplastin liberated from dead placenta and decidua, into the maternal circulation.Intrauterine deathSymptoms - Absence of fetal movementSigns - Egg shell cracking feel of fetal head- FHS absent- Uterine tone diminished- Gradual retrogression of the height of fundus- Appearance of gas shadow (Robert sign) in large vessel - Earliest sign (12 hrs)- Blistering and peeling of skin - 12-24 hrs- Spalding sign- Hyperflexion of spine- Crowding of ribs